Which of the following conditions is characterized by episodes of excessive and uncontrolled eating:
1. Anorexia nervosa
2. Bulimia nervosa
3. Body dysmorphophobia
4. All of the above

Correct answer: 2. Bulimia nervosa

Explanation: B ref: Ahuja, 4th/e p. 136-137 and 5th/ep. 151